Tissue macrophages are called?
1. Monocytes
2. Histiocytes
3. Plasma cells
4. Epitheloid cells

Correct answer: 2. Histiocytes

Explanation: Ans. is 'b' i.e., Histiocytes